Chemical labyrinthectomy by transtympanic route is done in Meniere's disease using which drug?
1. Amikacin
2. Gentamicin
3. Amoxicillin
4. Cyclosporine

Correct answer: 2. Gentamicin

Explanation: Chemical labyrinthectomy in Meniere's disease is done using Gentamicin locallyRef: PL Dhingra, Diseases of Ear, Nose & Throat, 7th edition, pg no. 115